Rao and Singh's index is?
1. Age-dependent index
2. Age-independent index
3. Age and sex-dependent index
4. Independent of wt and ht

Correct answer: 2. Age-independent index

Explanation: RAO & SINGH'S INDEX: - It is calculated as Weight (in kg) x 100/height2 (in cm) - Normal value: 0.14 - In children with malnutrition: 0.12 - 0.14